Multiple dentigerous cysts are found in:
1. Gardner's syndrome.
2. Gorlin goltz syndrome.
3. Cleidocranial dysplasia.
4. Down's syndrome.

Correct answer: 3. Cleidocranial dysplasia.

Explanation: Multiple dentigerous cysts are usually found in association with syndromes like cleidocranial dysplasia and Maroteaux - Lamy syndrome.